Headache is commonly seen with which anti-anginal drug?
1. Beta blockers
2. Nitrates
3. Trimetazidine
4. Potassium channel openers

Correct answer: 2. Nitrates

Explanation: Nitrates produce headache because of vasodilatation of meningeal vessels. Ref katzung 12th ed.